Colon cut off sign is seen in?
1. Carcinoma colon
2. Pancreatitis
3. Sigmoid valvulus
4. Diverticulosis

Correct answer: 2. Pancreatitis

Explanation: Ans. (b) PancreatitisRef: Wofganag5th e p. 846/748y Blueprints Radiology 2e- p 55